Apneustic Centre is inhibited by
1. Pneumotaxic Centre
2. Vagus Nerve
3. Both of the above
4. None of the above

Correct answer: 3. Both of the above

Explanation: Apneusis is prevented by inhibition of Apneustic Centre by Pneumotaxic Centre and Vagus Nerve.